All are true of achalasia cardia, except:
1. Dysphagia
2. Aspiration pneumonitis
3. Mecholyl test is hyposensitive
4. X-ray finding of dilated esophagus with a narrow end

Correct answer: 3. Mecholyl test is hyposensitive

Explanation: Ans. (c) Mecholyl test is hyposensitiveRef OESO/2011Internet* Mecholyl test - has been used to demonstrate hypersensitivity in LES for years and to differentiate the Achalasia from carcinoma.* It is not used nowadays.